An acidic drug has pKa value 4.5. Percentage of ionized drug at pH 3.5-
1. 1%
2. 10%
3. 90%
4. 99%

Correct answer: 2. 10%

Explanation: Ans. is 'b' i.e., 10% o The degree of ionization of a drug (an organ electrolyte) depends on its pKa value and pH of the environment. 1. For acidic drugs